Witness interested in concealing the truth or the part of truth is Known as:
1. Expert witness
2. Hostile witness
3. Occurrence witness
4. Medical witness

Correct answer: 2. Hostile witness

Explanation: Ans. b (Hostile witness) (Ref. Reddy FMT 23rd/pg. 10, 11)TYPE OF WITNESSHostile witness# As per sec. 191 IPC, the one who is supposed to have some interest or motive for concealing th? truth or the part of truth, or for giving completely false evidence. Both expert and common witnesses may turn out hostile.Expert witness# Person who has been trained or is skilled in technical and scientific subjects, and capable of draw\ng opinions and conclusions from the facts observed by himself, or noticed by others, e.g., doctor, fireexperts, fingerprint experts, handwriting experts etc (S 45 IEA)Common witness (witness of fact, occurrence witness)# Person who gives evidence about the facts observed or perceived by him.# He must show that he was capable of perceiving the fact by one of his own senses, and he actually observed this fact.# This is known as the "firsthand knowledge" rule, which may be used to establish the exact circumstance of the case for the court.Also know:As per Sec. 191 and 192 IPC and 344 CrPC a witness will be charged for perjury when he/she gives deliberate false/ fabricated evidence or fails to tell what he knows or believes to be true under oath.